Deficiency of which of the following enzyme leads to toxicity of 5-fluorouracil?
1. Purine nucleoside phosphorylase
2. Dihydropyrimidine dehydrogenase
3. PRPP synthase
4. Adenosine deaminase

Correct answer: 2. Dihydropyrimidine dehydrogenase

Explanation: 5-fluorouracil is acted upon by dihydropyrimidine dehydrogenase - Deficiency - accumulation of 5-FU - toxicity.